Iron level is deceased in all except -
1. Hookworm anemia
2. Anemia dut to chronic infection
3. Sideroblastic anemia
4. Anemia due to gastric ulcer (Bleeding ulcer)

Correct answer: 3. Sideroblastic anemia